An overhanging proximo-occlusal amalgam restoration leads to:
1. Decreased retention
2. Increased retention
3. Increased plaque accumulations
4. Fracture of the restoration

Correct answer: 3. Increased plaque accumulations